A patient on atracurium develops seizures due to accumulation of
1. Didanosine
2. Laudanosine
3. Methylated Atracurium
4. Sulfated Atracurium

Correct answer: 2. Laudanosine

Explanation: Hoffman's degradation of atracurium produces a tertiary metabolite,laudanosine , which can cross blood brain barrier and produce convulsions .